Treatment of Infantile Hemangioma-
1. Surgery
2. Cytotherapy
3. Observe for 1 -2 years
4. Laser ablation

Correct answer: 3. Observe for 1 -2 years

Explanation: Ans. is 'c' i.e., Observe for 1-2 years o Infantile hemangioma is most common birthmark with 3 to 5 : 1 predilection for females and increased incidence in pretem babies.Noticed first during 2nd week of life as a faint pink spot; there enter the proliferatily phase during 2nd month.Hemagioma growth peaks during before first year and enters involution phase after that. Resolution is completely 5 to 10 years of age.Treatment is primarily observationalo If hemangioma is problematic then treatment in order is -Systemic corticosteroidsVincristine:'InterferonLaser therapy